The tick-borne hemorrhagic fever found in Karnataka state is
1. Japanese encephalitis
2. Kyasanur forest disease
3. Epidemic nephrosonephritis
4. Lassa fever

Correct answer: 2. Kyasanur forest disease

Explanation: This disease is a hemorrhagic fever caused by A a new arbovirus antigenically related to RSSE complex was isolated by NIV Pune,from dead patients and large number of monkeys(monkey fever)..forest birds and small mammals are believed to be reservoirs ..principal vector being haemophysalisspinigera(ticks)...monkeys are amplifier hosts as it's a fatal disease for monkeys. Ref:Ananthnarayan and paniker's microbiology 10th edition